Which is not seen in Heart failure?
1. Kerley B lines
2. Cardiomegaly
3. Oligemia
4. Kerley A Lines

Correct answer: 3. Oligemia

Explanation: Oligemia is not seen in Heart Failure Chest x-ray in heart failure may show : Pleural effusions, Cardiomegaly Kerley A and B lines Perhilar haze Cephalization of pulmonary vasculature Peribronchial cuffing Lymphatic engorgement causes septal thickenings which is seen as Kerley A and Kerley B lines on CXR. CXR of Heart Failure